Which one of the following in NOT a characteristic feature of bacterial vaginosis?
1. Presence of clue cells
2. Thick white discharge
3. Vaginal pH>4.5
4. Fishy odour

Correct answer: 2. Thick white discharge

Explanation: Vaginitis Bacterial vaginosis Candidiasis Trichomonas vaginitis Organism Gardnerella vaginosis Candida Trichomonas vaginalis M/C PH >4.5 <4.5 >4.5 STD Not an STD Not an STD usually STD M/C Complaint Foul smellingDiy white discharge Intense puritis curdy white cottage cheese like discharge Profuse frothy greenish yellow discharge IOC Saline microscopy clue cells are seen Saline microscopy pseudohyphae seen Saline microscopy typical motile flagellated trichomonas seen Gold standard investigation Amsler's criteria nugent scoring SDA medium Diamond media DOC Metronidazole Fluconazole Metronidazole Whift test (10% KOH to discharge) (+) (-) May be (+) or (-) due to its association with bacterial vaginosis